An obese patient presented in casualty with random blood sugar 400 mg%, urine sugar +++ and ketones 1-E Drug useful in management with be -
1. Glibenclamide
2. Troglitazsone
3. Insulin
4. Metformin

Correct answer: 3. Insulin

Explanation: Ans,, is 'c' i.e., Insulin o Insulin is the drug of choke in patients with diabetic ketoacidosis.